Maximum cell size in bacterial cell growth cycle?
1. Lag phase
2. Log phase
3. End of plateau phase
4. Early stage of decline

Correct answer: 1. Lag phase

Explanation: Ans. is 'a' i.e., Lag phase The various phases of growth curve are associated with morphological and physiological alterations of the cells.